Sharp wastes should be disposed in which color bag?
1. White
2. Black
3. Red
4. Yellow

Correct answer: 1. White

Explanation: Ans. (a) White Ref : K. Park 23rd ed. /126-28, 753 * Sharp wastes like needles, syringes, blades, scalpels, glass are disposed of in blue/white translucent bag Color coding Biomedical waste Treatment option Yellow * Human anatomical waste * Animal waste * Microbiological waste * Soiled waste Incineration/deep burial Red * Microbiological waste * Soiled waste and Solid waste Autoclave/ microwave/ chemical treatment White translucent * Sharp waste * Solid waste Autoclave/ microwave/ chemical treatment and destruction/ shredding Black * Discarded and cytotoxic meds * Incineration ash * Chemical waste (solid) Secured landfill